Most common cause of decrease in incidence of H.pylori in west is d/t -
1. Change in the style
2. Increased use of PPI
3. Chemotherapy
4. Mutation in organism

Correct answer: 1. Change in the style

Explanation: Helicobacter pylori (H. pylori) infection is one of the most prevalent chronic gastric infections, affecting more than 50% of the world population . The microorganism is the first formally recognized bacterial carcinogen, leading to the development of various upper gastro-intestinal disorders including gastritis, gastro-duodenal ulcer diseases and gastric cancer . The latter was established to be the second leading cause of cancer-related death worldwide . Epidemiological studies have demonstrated that H. pylori infection is most prevalent in developing countries and among populations with low socioeconomic background . In addition to income and education level, living standards such as sanitation and hygiene, crowding index, and source of drinking water have been shown to be risk factors of H. pylori . Major variations in prevalence rates were observed among different ethnic groups, suggesting a possible genetic susceptibility . Lifestyle factors are also believed to contribute to H. pylori infection development. Studies on the association of smoking and alcohol consumption with the infection show conflicting results. While some have found that smoking was associated with an increased risk for H. pylori, and that alcohol consumption had no effect on it others have concluded that both smoking and alcohol consumption had a protective effect against the infection Previous studies worldwide have investigated the relationship between dietary patterns and H. pylori, with many being published over 20 years ago. Some studies have found that salty, pickled, fermented, or smoked foods increased the risk of H. pylori infection while another found no association between H. pylori and pickled food Also, high intake of fruits, vegetables or of antioxidants were found to be protective factors infection in some studies Ref Davidson edition23rd pg797